Complication of bronchiectasis include all except
1. Amyloidosis
2. Lung abscess
3. Cerebral abscess
4. Bronchiogenic carcinoma

Correct answer: 4. Bronchiogenic carcinoma